Best method to compare vital statistics of two populations-
1. Crude death rate
2. Age specific death rate
3. Age standardization death rate
4. Multivariate mortality rate

Correct answer: 3. Age standardization death rate

Explanation: ref: Park's 23rd edition pg 58 The advantage of age standardised death rate is that it removes the confounding effect of different age structures and yields a single standardised or adjusted rate, by which mortality experience can be directly compared.